Postmortem blood is collected from which vessel ?
1. Femoral artery
2. Femoral vein
3. Cephalic vein
4. Brachial artery

Correct answer: 2. Femoral vein

Explanation: Ans. is 'b' i.e., Femoral vein Before autopsy 10 - 20 ml of blood is collected from the femoral vein in groin. Jugular/ subclavian vein can also be used.